Which is the treatment of choice for duodenal atresia?
1. Duodenoduodenostomy
2. Duodenojejunostomy
3. Bishop-koop procedure
4. Gastroduodenostomy

Correct answer: 1. Duodenoduodenostomy

Explanation: Diamond shaped duodenoduodenostomy is treatment of choice for duodenal atresia. Bishop-koop procedure- used in the management of Meconium Ileus